The side effects of clomiphene because of which its use should be immediately stopped :
1. Hot flashes
2. Multiple pregnancy
3. Teratogenic
4. Visual symptoms

Correct answer: 4. Visual symptoms

Explanation: Visual symptoms are rare; 1-2%; but if present treatment with clomiphene should be stopped immediately Ref: Clinical Gynecologic Endocrinology and Infertility; Eighth Edition; Chapter 27